Local anaesthetic injected directly into the tissue ?
1. Infiltration anaesthesia
2. Nerve block
3. Field block
4. Bier's block

Correct answer: 1. Infiltration anaesthesia

Explanation: Ans. is 'a' i.e., Infiltration anaesthesia o Infiltration anaesthesia is the injection of local anaesthetic directly into tissue without taking into consideration the course of cutaneous nerve.